Blood agar is an example of:
1. Enrichment media
2. Enriched media
3. Nutrient media
4. Selective media

Correct answer: 2. Enriched media

Explanation: Blood agar is an example of enriched media. Enriched media are cultural media that are enriched with whole or lysed blood, serum, special extracts, or nutrients to support the growth of those bacteria that cannot grow on the basal media. Other examples of enriched media are serum agar and chocolate agar. Selenite F broth is an enrichment media used for the isolation of Salmonella group of bacteria. Selective media are solid media which contain substances that slow or inhibit the growth of micro-organisms other than those for which media are devised. Eg Tellurite medium for diphtheria, Deoxycholate citrate agar for Shigella and Salmonella. Ref: Medical Lab Science: Theory & Practice By Ochei Et Al, page 586